Troponin T is elevated in:
1. Myxoedema
2. Myocardial infection
3. Thyrotoxicosis
4. Viral Hepatitis

Correct answer: 2. Myocardial infection